Halofantrine is used for -
1. Falciparum malaria
2. Visceral leishmaniasis
3. Leprosy
4. Amoebiasis

Correct answer: 1. Falciparum malaria

Explanation: Ans. is 'a' i.e., Falciparum Malaria o It is mainly used for multidrug resistant falciparum malaria.